All statements are true about the eye of a newborn except
1. Optic nerve is myelinated only upto lamina cribrosa
2. Orbit is more divergent than adult
3. Apart from macular area the retina is fully differentiated
4. New born is usually myopic by -2 to -3 D

Correct answer: 4. New born is usually myopic by -2 to -3 D

Explanation: D. i.e. Newborn is usually myopic by -2 to -3 D The eye of new born is hypermetropic by +2 to +3 DQ Fate of the eye after this: Most of the children reach levels of emmetropia with growth of the eye. Undercorrection leads to residual hypermetropia, which happens more commonly than overcorrection. Overcorrection leads to myopia.